Carharts notch in audiogram is deepest frequency of -
1. 0.5 KHz
2. 2 KHz
3. 4 KHz
4. 8 KHz

Correct answer: 2. 2 KHz